Reverse transcriptase polymerase chain reactions can aid in diagnosis of all of the following viral infections except -
1. Adenovirus
2. Astrovirus
3. Rotavirus
4. Poliovirus

Correct answer: 1. Adenovirus

Explanation: Ans. is 'a' i.e., Adenovirus . Normally in transcription there is formation of RNA from DNA. Obviously, as the name suggests, reverse transcriptase will cause transcription in reverse fashion i.e synthesis of DNA from RNA. Then fresh RNA is formed from DNA. . Amongst the given options, only adenovirus is a DNA virus. All other are RNA viruses. . Reverse transcriptase induces formation of DNA from RNA. so it can be used in the diagnosis of RNA viruses only.